False about Schizophrenia is the presence of which of the following?
1. 3rd person auditory hallucination
2. Incongruent affect
3. Sustained mood changes
4. Formal thought disorder

Correct answer: 3. Sustained mood changes

Explanation: Sustained mood changes is a symptom of depression, not Schizophrenia. Affect is often flat or incongruent. 3rd person auditory hallucinations are characteristic. Formal thought disorder is more evident in disorganised Schizophrenia. More about the topic:Schizophrenia is a heterogeneous syndrome characterized by perturbations of language, perception, thinking, social activity, affect, and volition. There are no pathognomonic features.The syndrome commonly begins in late adolescence, has an insidious (and less commonly acute) onset, and, often, a poor outcome, progressing from social withdrawal and perceptual distortions to recurrent delusions and hallucinations. Patients may present with positive symptoms (such as conceptual disorganization, delusions, or hallucinations) or negative symptoms (loss of function, anhedonia, decreased emotional expression, impaired concentration, and diminished social engagement) and must have at least two of these for a 1-month period and continuous signs for at least 6 months to meet formal diagnostic criteria.Ref: Reus V.I. (2012). Chapter 391. Mental Disorders. In D.L. Longo, A.S. Fauci, D.L. Kasper, S.L. Hauser, J.L. Jameson, J. Loscalzo (Eds), Harrison's Principles of Internal Medicine, 18e.